A farmer visiting an orchard gets unconscious, excessive salivation , constricted pupils and fasciculation of muscles, treatment started with
1. Atropine
2. Neostigmine
3. Physostigmine
4. Adrenaline

Correct answer: 1. Atropine

Explanation: Ans. is 'a' i.e. Atropine * The signs and symptoms shown by the patient are of cholinergic hyperactivity. The poisoning is most probably by an organophosphorus compound.Best antidote for it is Atropine.Atropine is supplemented by cholinesterase reactivators , the oxime compounds* ( Pralidoxime, Obidoxime, Diacetyl monoxide)